Paracusis Willisii is a symptom frequently present in
1. Advanced Meniere's disease
2. Otosclerosis
3. Acoustic neuroma
4. Circumscribed labyrinthitis

Correct answer: 2. Otosclerosis

Explanation: (B) Otosclerosis # SYMPTOMS OF OTOSCLEROSIS:> Hearing loss This is the presenting symptom and usually starts in twenties. It is painless and progressive with insidious onset.> Often it is bilateral conductive type. Paracusiss willisii Tinnitus Vertigo Speech Chronic conductive hearing loss (CHL) is the finding in almost all cases of otosclerosis> This usually will begin in one ear but will eventually affect both ears with a variable course.> On audiometry, the hearing loss is characteristically low frequency, with higher frequencies being affected later> Sensorineural hearing loss has also been noted in patients with otosclerosisthis is usually a high frequency loss, and usually manifests late in the disease.